All of the following are true regarding increasing sample size except:-
1. Decreases power of test
2. Standard error of mean decreases
3. Decrease in Confidence interval
4. Decreases alpha error

Correct answer: 1. Decreases power of test

Explanation: Increase in sample size leads to: Decrease in Confidence interval i.e., gives more precise estimates. Decrease in Alpha error i.e, less chance of type 1 error. Decrease in Standard error of mean. Increase in Power of test.